A person shows HBSAg+ HBeAg+ 
What does that indicate?
1. Recovering from Hep B
2. Active replication of virus
3. Vaccination
4. Chronic hepatitis

Correct answer: 2. Active replication of virus